Transport of fatty acids through mitochondrial membrane is by
1. Active transport
2. Facilitated transport
3. Diffusion
4. Lipases

Correct answer: 2. Facilitated transport

Explanation: Fatty acids are activated in the cytoplasm, but the beta-oxidation is in mitochondria. So transport of fatty acids through the mitochondrial membrane is essential. The long chain fatty acyl CoA cannot pass through the inner mitochondrial membrane. Therefore a transporter, carnitine is involved in transfer of fatty acids. Carnitine is beta-hydroxygamma-trimethyl ammonium butyrate, (CH3)3-N+-CH2-CHOH-CH2-COOH. It is synthesized from lysine and methionine in liver and kidney.Ref: MN Chatterjea Textbook of Medical Biochemistry, 6th edition, page no: 130